Edge wise bonded brackets are used
1. On incisal edges of anterior teeth
2. To obtain edge to edge occlusion
3. With rectangular arch wire
4. With labial. arch wires at incisal and gingival edges of each bracket

Correct answer: 3. With rectangular arch wire